The organism most commonly causing genital filariasis in most part of Bihar and easteran U.P.is -
1. Wuchereria bancrofti
2. Brugia malayi
3. Onchocerca volvulus
4. Dirofilaria

Correct answer: 1. Wuchereria bancrofti